CT scan of the head should be performed before lumbar puncture in all of the following conditions except?
1. Hypertension
2. Immunocompromised state
3. Kernohan Woltman sign
4. Low GCS score

Correct answer: 1. Hypertension

Explanation: Neuroimaging should be done prior to LP in the following patients: 1. Altered level of consciousness 2. Focal neurological deficit 3. New onset seizure 4. Papilledema 5. Immunocompromised state These patients are at increased risk of potentially fatal cerebellar or tentorial herniation following lumbar puncture.